What is the type of joint between the ossicles of ear?
1. Fibrous joint
2. Primary cartilaginous
3. Secondary cartilaginous
4. Synovial joint

Correct answer: 4. Synovial joint

Explanation: (d) Synovial joint(Ref. Scott Brown, 8th8 ed., Vol 2 page 533)The head of malleus articulates with the body of incus. This incudomalleolar joint is a saddle type of synovial joint.The long process of incus ends in a lentiform nodule. This lentiform nodule of incus articulates with the head of stapes. This incudostapedial joint is a ball and socket type of synovial joint.